Which of the following statements in not true regarding Lac Operon concept
1. CAP is a positive regulator of LAC operon
2. It is regulation method in eukaryotes and prokaryotes
3. It is inducible operon
4. Lac Z gene codes for β galactosidase.

Correct answer: 2. It is regulation method in eukaryotes and prokaryotes

Explanation: Lac operon is regulatory method seen only in prokaryotes.